All of the following are effects of thiopental, except:
1. Reduces the cerebral metabolic rate
2. Produces dose dependent decrease in blood pressure
3. Causes decrease in minute ventilation and tidal volume
4. Thiopentone is not lipid soluble so that its redistribution is very slow

Correct answer: 4. Thiopentone is not lipid soluble so that its redistribution is very slow

Explanation: Thiopentone is highly lipid soluble, therefore redistribution is rapid and this accounts for its short duration of action.